Function of ubiquitin
1. Binding
2. Transport
3. Degradation
4. Assembely

Correct answer: 3. Degradation

Explanation: Ubiquitin plays a major role in protein destruction. (Ref: Textbook of physiology N Geetha 2nd edition page no.10)